Cause for renal vein thrombosis could be -
1. Membranous nephropathy
2. Luous nephritis
3. Membranoproliferative glomerulonephritis
4. Post streptococcal glomerulonephritis

Correct answer: 1. Membranous nephropathy

Explanation: Renal vein thrombosis can also be secondary to nephrotic syndrome particularly membranous nephropathy. Nephrotic syndrome - Minimal change disease Focal segmental glomerulosclerosis Membranous nephropathy (membranous Glomerulonephritis) Diabetic nephropathy Membranoproliferative Glomerulonephritis Focal and diffuse proliferative GN IgA nephropathy Ref:Harrison 20 th edition pg no 2167,2142.